A patient on lithium therapy developed hypertension. After being started on thiazides for hypertension, he suffered from coarse tremors and other symptoms suggestive of lithium toxicity. Explain the likely mechanism of this interaction.
1. Thiazide inhibits metabolism of lithium
2. Thiazides increases tubular reabsorption of lithium
3. Thiazides acts as add on drug for lithium
4. Thiazides and lithium both cause tremors

Correct answer: 2. Thiazides increases tubular reabsorption of lithium

Explanation: * Majority of sodium reabsorption occurs in proximal convoluted tubule* Both sodium (Na+) and Lithium (Li+) carry one electron in their outer shell, which depicts# Both can easily obtain a stable configuration of inert gas by losing one electron from their outer shell# Both lose their outer shell electrons in reactions to form positive ions with a +1 charge# Both have similar physical and chemical properties Diuretics|Causes hyponatremia|Compensatory increase in sodium reabsorption from tubules|Lithium also gets reabsorbed (similarity with sodium)|Plasma levels of lithium rise|Lithium toxicity symptoms occurs